In "Pneumonia Severity Scale", most important factor is -
1. Age
2. Congestive Heart Failure
3. Hypothermia
4. Hyponatremia

Correct answer: 1. Age